True about seminal vesicle is -
1. Lined by ciliated columnar cells
2. Contributes to 30% of semen
3. Secretes secretion rich in fructose
4. Has acidic secretion

Correct answer: 3. Secretes secretion rich in fructose

Explanation: Ans. is 'c' i.e., Secretes secretion rich in fructose o The seminal vesicles are a pair of elongated sac-like glands located at the base of urinary bladder.o The secretion from seminal vesicles constitutes around 60-70% of total ejeculate (semen).o The secretion is alkaline, rich in fructose and provides nutrition to sperms.o Seminal vesicles consists of three layersi) Mucosa : Lined by non-ciliated pseudostratified columnar epithelium.ii) Muscular layer: Consists of smooth muscles arranged in inner circular and outer longitudinal layers.iii) Adventitia : is a layer of connective tissue outside the muscular layer.